Increased susceptibility to disease due to V. cholerae, Shigella, E. coli O157, and norovirus is seen in which blood groups?
1. AB
2. A
3. B
4. O

Correct answer: 4. O

Explanation: People with blood group O has increased susceptibility to to V. cholerae, Shigella, E. coli O157, and norovirus. Reference: Harrisons Principles of Internal Medicine, 18th Edition, Page 1085